Which carpal bone appears at 2 months of age?
1. Capitate
2. Pisiform
3. Lunate
4. Trapezoid

Correct answer: 1. Capitate

Explanation: Ref.nelson textbook of pediatrics 20th edition page 68